Karyotyping can be used to diagnose which of the following disease?
1. Klinefelter’s syndrome
2. Multiple myeloma
3. Niemann-Pick disease
4. Pemphigus

Correct answer: 1. Klinefelter’s syndrome

Explanation: The only disease listed that is related to an abnormal number of chromosomes is Klinefelter’s syndrome. This disease is characterized by two or more X chromosomes and one or more Y chromosome. Typically, those affected have 47 chromosomes with a karyotype of XXY.